Which of the following is TRUE regarding classical spontaneous bacterial peritonitis ?
1. Ascitic fluid neutrophil count is > 250/mm'
2. Bowel perforation should be present
3. Multiple organisms are isolated from ascitic fluid
4. Board-like rigidity is present in abodmen

Correct answer: 1. Ascitic fluid neutrophil count is > 250/mm'

Explanation: Spontaneous bacterial peritonitis (SBP) is one of the potentially lethal complications of cirrhosis and is defined as infected ascites in the absence of any recognizable secondary cause of infection. .UGI bleeding and abdominal pain were the most common presenting symptoms of SBP SBP is an acute ascites infection an ascitic fluid polymorphonuclear (PMN) cell count of >=250 cells/mm3 both with or without a positive ascitic fluid bacterial culture. SBP can be differentiated from secondary bacterial peritonitis by the absence of a surgically treatable intra-abdominal source of infection Ref Davidson edition23rd pg 811